Barrel shaped spores (arthospores) is seen with -
1. Blastomyces
2. Histoplasma
3. Coccidioides
4. Candida

Correct answer: 3. Coccidioides

Explanation: Ans. is 'c' i.e., Coccidioides . Arthrospores (arthroconidia) are formed by coccidioides.